Features of Neuroglia cells include all except -
1. Protoplasmic astrocytes are found in grey mater
2. Oligodendrocytes are derived from ectoderm
3. Microglia are mesodermal in origin
4. Central neuroglial cells are derived from Schwann cells

Correct answer: 4. Central neuroglial cells are derived from Schwann cells

Explanation: -        Microglia (Origin from mesoderm)
-        Macroglia (Origin from neuroectoderm)- Oligodendrocytes, Ependymal cells, Astrocytes 
-        Astrocytes

Protoplasmic- Found in grey matter​
Fibrous- Found in white matter